Basanti, 27 year female thinks that her nose is ugly. Her idea is fixed and is not shared by anyone else. Whenever she goes out of the home, She hides her face? She visits a surgeon for plastic surgery. The appropriate next step would be:-
1. Investigate and then operate
2. Reassure the patient
3. Immediate operation
4. Refer to psychiatrist

Correct answer: 4. Refer to psychiatrist

Explanation: This appears to be a case of delusional disorder, somatic type. Its important to differentiate it from body dysmorphic disorder. here, the question says that idea is fixed and is not shared by anyone else and patient is further hiding her face when visiting outside. In body dysmorphic disorder, the belief is not fixed and may be at least temporarily changed by reassurances of others.